Cytogenetics for synovial cell sarcoma is -
1. t (X : 18)
2. t (17, 9)
3. t (9, 22)
4. t(11,14)

Correct answer: 1. t (X : 18)

Explanation: Ans. is 'a' i.e., t (X:18) Synovial cell Sarcoma (SCS) Synovial cell sarcoma forms about 10% of all soft tissue sarcomas. o Although the name suggests an origin from the synovial linings, less than 10% of them are intra-articular. o Most synovial sarcomas show a characteristic chromosomal translocation t (X : 18) producing SYT-SS X1 or-SS X 2 fusion genes.The specific translocation is associated with poor prognosis 60-70% of SCS involve the lower extremities especially around knee and thigh. o Histologic hallmark of biphasic synovial sarcoma is the dual lining of differentiation of the tumor cells (eg. epitheliat like and spindle cells) o Calcified concrections can be present on X-rays. o This tumor is positive for i) Keratin ii) Epithelial membrane antigen.